True about VSD is all except -
1. Small hole closes spontaneously
2. Defect is usually in membranous part
3. Endocarditis is a common complication
4. Pulmonary Oligemia in chest x-ray

Correct answer: 4. Pulmonary Oligemia in chest x-ray

Explanation: Ans. is 'd' i.e., i.e., Pulmonary oligemia in chest x-ray Chest x-ray in VSD Pulmonary vasculature is increased --> Pulmonary plethora (not oligemia). o Aorta is normal or smaller Left atrial enlargement If defect is small Normal sized heart. If defect is large --> Cardiomegaly.